Patients who are grandiose and require admiration from others, have which type of personality?
1. Narcissistic
2. Histrionic
3. Borderline
4. Antisocial

Correct answer: 1. Narcissistic

Explanation: Narcissistic PD Excessive self-importance (Grandiose) Belief about being special and talented Poor tolerance to criticism Fantasies of unlimited success and power. Fragile self esteem Rejection leads to depression